The kinetic energy of the body is least in one of the following phases of the walking cycle -
1. Heel strike
2. Mid-stance
3. Double support
4. Toe-off

Correct answer: 2. Mid-stance